Which of the following step of osseous surgery removes the widow pick:
1. Vertical grooving
2. Radicular Blanding
3. Flattening of interproximal bone.
4. Gradualizing marginal bone

Correct answer: 4. Gradualizing marginal bone